Cardiac polyp is seen in
1. Acute nephritis
2. Endocarditis
3. Septicaemia
4. Postmortem clot

Correct answer: 4. Postmortem clot

Explanation: Chicken fat and red current jelly seen in post mortem clot